Projections from substantia nigra pars compacta to striatum releases
1. GABA
2. Dopamine
3. Glutamate
4. Aspartate

Correct answer: 2. Dopamine